Primordial Germ cells give rise to oogonium and then primary oocyte.PGCs themselves develop from
1. Epiblast
2. Neural crest
3. Coelomic epithelium
4. Genital ridge

Correct answer: 1. Epiblast

Explanation: Among the given options, yolk sac is the best answer. Primordial germ cells (PGC) forms germ cells which are derived from epiblast at the end of Week 2. These PGC migrates to endodermal layer of yolk sac at week 4 and further towards genital ridge by week 5. Aberrant migration of these PGC leads to teratomas: Sacrococcygeal teratoma Oropharyngeal teratoma